True about apoptosis is all, except -
1. Considerable apoptosis may occur in tissues before it becomes apparent in histology
2. Apoptotic cells appear round mass of the intensely eosinophillic cytoplasm with dense nuclear chromatin fragments
3. Apoptosis of cells induce inflammatory reaction
4. Macrophages phagocytose the apoptotic cells and degrade them.

Correct answer: 3. Apoptosis of cells induce inflammatory reaction

Explanation: Ans. is 'c' i.e., Apoptosis of cells induce Inflammatory reaction oThe two most striking features of apoptosis are: 1. In contrast to necrosis it does not elicit inflammation 2. Considerable apoptosis may occur in tissues before it becomes apparent in histological section (because it occurs very rapidly). Morphological changes in apoptosis Cell shrinkage o This is the earliest change. o It is due to damage of cytoskeletal proteins that provide structural support to the cell. Chromatic Condensation (Pyknosis) o This is due to breakdown and clumping of chromatin. o This is most characteristic feature of apoptosis Formation of cytoplasimic blebs and apoptotic bodies -4 End stage is characterised by bleb formation. Chromosomal DNA fragmentation o It is due to activity of endoneuclease and caspases. Phagocytosis of apoptotic cells and bodies by adjacent macrophages or healthy parenchymal cells. In histological sections apoptotic cell appears as round or oval mass of intensely eosinophilic cytoplasm with dens nucleus chromatin fragments. Note : o Cell shrinkage and fragmentation allow the cells to be efficienccy phagocytosed without release of proinflammatory cellular component.